Peripheral neuritis is a deficiency sign of
1. Folic acid
2. Niacin
3. Thiamine
4. Tocopherol

Correct answer: 3. Thiamine

Explanation: Two principle deficiency diseases associated with thiamine deficiency are beriberi and Wernick's encephalopathy. Dry beriberi is associated with nerve involvement Ref: Park; 23rd ed; Page no: 618